What is the calorie content of 100 mL of human breast milk?
1. 67 kcal
2. 90 kcal
3. 100 kcal
4. 45 kcal

Correct answer: 1. 67 kcal

Explanation: Calorie content of 100 ml of breast milk is 67 kcal. Ref: Table 5.4; Page 97; Ghai essential pediatrics; 6th edition